Which one of the following is not an adverse effect ofACE inhibitors -
1. Cough
2. Hypokalemia
3. Angioneurotic edema
4. Skin rash

Correct answer: 2. Hypokalemia

Explanation: Ans. is 'b i.e., Hypokalemia